Which one of the following is NOT true concerning Radon?
1. Decays by gamma emission
2. Single largest contributor to an individual's background radiation dose
3. Most stable isotope, 222Rn, has a half-life of 3.8 days
4. Implicated in Lung cancer

Correct answer: 1. Decays by gamma emission

Explanation: Radon Radioactive, colorless, odorless, tasteless noble gas, occurring naturally as the decay product of uranium or thorium. Its most stable isotope, 222Rn, has a half-life of 3.8 days. Often the single largest contributor to an individual's background radiation dose Radon continues to decay to emit alpha particles. Rn-222 represents a long-term hazard despite its short half life of 3.8 days.